A Patient falls down often with behavioral change and enuresis. What is the condition associated with him?
1. Frontotemporal dementia
2. Normal pressure hydrocephalus
3. Parkinson's disease
4. Alzheimer's disease

Correct answer: 2. Normal pressure hydrocephalus

Explanation: Ans- B. Normal pressure hydrocephalus Frontotemporal dementia - Associated with poor behavioral control, decision making, and language.Normal-pressure hydrocephalus - Associated with gait disturbance, behavioural change, enuresis, and dementia.Parkinson's disease - Associated with tremor and muscular stiffnessAlzheimer's disease-Associated mainly with memory loss and confusionRef: Normal Pressure Hydrocephalus By Michael J. Fritsch, Uwe Kehler, Ullrich Meier P .16; Oxford textbook of neurological surgery by Adel Helmy P.94